Biuret test is used for detection of
1. Carbohydrate
2. Cholesterol
3. Protein
4. Steroid

Correct answer: 3. Protein